Anatomical closure of Ductus Arteriosus takes place at
1. At Birth
2. 10-12 hours after birth
3. 1 week after birth
4. 2-3 weeks after birth

Correct answer: 4. 2-3 weeks after birth

Explanation: Functional closure happens 10-12 hours after birth. Anatomical closure takes place at 2-3weeks after birth.